Number of family member is a-
1. Qualitative variable
2. Discrete variable
3. Continuous variable
4. Categorial variable

Correct answer: 2. Discrete variable

Explanation: Ans. is 'b' i.e., Discrete variable o Number of family members has numerical value --> 2, 3, 5, 7. o But it cannot have in-between value e.g., 2.5, 3.2. o So, it is a quantitative (numerical) discrete variable. Following important points require specific mention here : ? o Though qualitative (categorial) data do not have numerical value, some times numerical value is used to classify the limit of qualitative data. For example : - 1)All low birth weight children will have birth weight less than 2500 gm. So, a) Birth weight (which may be 2200 gm, 2500 gm, 2600 gm) is a continuous variable. b)Low birth weight (< 2500 gm) is a qualitative data because either a newborn have low birth weight or not. 2) Blood cholesterol level (which may be 70, 80, 90, 200 mg/dl) is a quantitative variable but when it comes high or low blood cholesterol level, it becomes qualitative variable because a preson may either have low or high cholesterol level. 3) Similarly blood sugar level is quantitative variable, while high or low blood sugar (presence or absence of diabetes) is a qualitative variable. 4) Blood hemoglobin is a quantitative variable, while high or low hemoglobin (Presence or absence of anemia) is a qualitative variable. Note: o Pulse rate (PR) is considered as a continuous variable. o Immediately question comes to mind that how can pulse rate be a continues variable when pulse rate can only be 70/71... beats per minute but not in between value (70.1, 70.5 ...). However, this is only true when we count pulse for only 1 minute. In other scenario, if the pulse rate is counted for 3 minutes and it comes 216, then the pulse rate will be 72.3 beats per minute ---> Therefore, pulse rate is considered as a continuous variable. o If you still have doubt, read following statement? "Body temperature, pulse rate, height, weight, and age are all continuous numerical variables" .. statistics for health care professional.